Coracoid process of the scapula is which type of epiphysis
1. Pressure
2. Traction
3. Aberrant
4. Atavistic

Correct answer: 4. Atavistic

Explanation: There are 4 types of epiphysis in the body: Pressure epiphysis Traction epiphysis Atavistic epiphysis Aberrant epiphysis -Articular ends(takes part in transmission of weight) Example- Head of femur - Nonarticular(does not take part in transmission of weight) *Provides attachment to one or more tendons which exert traction on the epiphysis. Example- Tubercles of humerus, mastoid process. - Phylogenetically an independent bone, which in humans is fused to another bone Example- coracoid process of scapula Is not always present Example- Epiphysis of head of first metacarpal